Drug contraindicated in bilateral renal artery stenosis
1. Propanolol
2. Guanethidine
3. Captopril
4. Amilodipine

Correct answer: 3. Captopril

Explanation: Refer kDT 6/e p 484 Renal artery stenosis is thenarrowing of one of the renal arteries, most often caused by atherosclerosis or fibromuscular dysplasia. This narrowing of therenal artery can impede blood flow to the target kidney, resulting in renovascular hypertension - a secondary type of high blood pressure. Angiotensin-converting enzyme inhibitors (ACEIs) arecontraindicated in patients withbilateral renal artery stenosis due to risk of azotemia resulting from preferential efferent arteriolar vasodilation in the renal glomerulus due to inhibition of angiotensin II.